Frankel behaviour rating system does not include
following behaviour:
1. Definitely positive
2. Definitely negative
3. Positive
4. Indifferent

Correct answer: 4. Indifferent